MC valve involved in Rheumatic fever -
1. Mitral
2. Aortic
3. Pulmonary
4. Tricuspid

Correct answer: 1. Mitral

Explanation: Rheumatic fever is an acute , immunologically mediated multisystem inflammatory disease that occurs after group A streptococcal infection The valvular disease principally takes the form of deforming mitral stenosis; indeed rheumatic heart disease is essentially the only cause of acquired mitral stenosis Robbins 9 th page no. 391